Renal stone which is formed due to proteus infection is?
1. Calcium oxalate
2. Uric acid
3. Cystine
4. Struvite

Correct answer: 4. Struvite

Explanation: Ans. (d) StruviteRef::Robbiris 8thed Table 20-12, Sabiston Textbook of Surgery, 18thed chapter 77,